The cell-bodies of sympathetic preganglionic neurons are located in the
1. Dorsal root ganglia
2. Sympathetic chain ganglia
3. Brain stem and spinal cord
4. Thoracic and Lumbar segments of the spinal cord

Correct answer: 4. Thoracic and Lumbar segments of the spinal cord